Spaghetti and meatball appearance is seen in -
1. Dermatophytosis
2. Pityriasis versicolor
3. Aspergillosis
4. Candidasis

Correct answer: 2. Pityriasis versicolor

Explanation: In pityriasis versicolor while doing  KOH mount shows a mixture of short , branched hyphae and spores described as spaghetti and meatball appearance.